Brown type gallstones are formed due to:
1. Hypercholesterolemia
2. Long standing hemolysis
3. Chronic biliary infection
4. Drugs

Correct answer: 3. Chronic biliary infection

Explanation: Pigment stones are composed of calcium bilirubinate and are classified into "black" and "brown" types, the latter forming secondary to chronic biliary infection. Reference: Harrisons Principles of Internal Medicine, 18th Edition, Pages 2616-17